No. Of Sustainable development goals
1. 19
2. 20
3. 17
4. 13

Correct answer: 3. 17

Explanation: On 25 September 2015, UN General Assembly adopted the 2030 Development Agenda titled "Transforming our world: the 2030 Agenda for Sustainable Development".This has 17 Sustainable Development Goals and the associated 169 targets.